Baclofen is :
1. Centrally acting muscle relaxant
2. Peripherally acting muscle relaxant
3. Both centrally and peripherally acting muscle relaxant
4. Direct acting muscle relaxant

Correct answer: 1. Centrally acting muscle relaxant